'Diving in' reflex that occurs as a result of perinatal asphyxia leads to vasoconstriction in all the following organs except:
1. Heart
2. Bowel
3. Kidney
4. Skin

Correct answer: 1. Heart

Explanation: Asphyxia causes redistribution of the blood flow. In various organs of the body, there is vasoconstriction eg- bowel, kidney, muscles and skin Blood supply to the more vital organs like the brain and heart -preserved.